A predisposing factor for nasal myiasis is
1. Allergic rhinitis
2. Vasomotor rhinitis
3. Atrophic rhinitis
4. Rhinitis medicamentosa

Correct answer: 3. Atrophic rhinitis

Explanation: Predisposing factors for nasal myiasis (maggots in the nose)Poor hygieneAtrophic rhinitisSuppurative sinusitisComatose patientsUncontrolled diabetesMalignancy maxillaGranulomatous conditions- Leprosy, syphilis, Wegner&;sRef: Hazarika; 3rd ed; Pg 351